A 16-year-old boy complains of difficulty in breathing through his nose. Endoscopy reveals a tumor infiltrating the nasopharynx. Histology reports this as a juvenile nasopharyngeal haemangiofibroma. The boy's anxious mother requests information concerning the lesion. What should she be told?
1. It is a premalignant lesion.
2. It usually occurs with laryngeal obstruction.
3. It is treated with radiotherapy.
4. It may proceed to destroy surrounding bone.

Correct answer: 4. It may proceed to destroy surrounding bone.

Explanation: Juvenile nasopharyngeal haemangiofibromas are rare nonmalignant tumors containing both fibrous and vascular tissue. They occur exclusively among boys.